Medusa head appearance on abdominal X-ray indicates:
1. Roundworm
2. Tapeworm
3. Roundworm and tape worm
4. Amoehiasis

Correct answer: 1. Roundworm

Explanation: Ans. Roundworm